Which of following HMG CoA reductase inhibitor has longest half life?
1. Atorvastatin
2. Simvastatin
3. Rosuvastatin
4. Pitavastatin

Correct answer: 3. Rosuvastatin

Explanation: Rosuvastatin - Longest acting Pitavastatin - most potent - Statins have maximum LDL lowering capacity. - Given at night because HMG CoA reductase is maximum active at night but Atorvastatin and Rosuvastatin are long acting drugs, thus can be given any time of the day. - Statins can cause myopathy